Stages of anaesthesia were described by Guedel with
1. Ether
2. Chloroform
3. N20
4. Halothane

Correct answer: 1. Ether

Explanation: Ether